Drug of choice in Belladonna poisoning is -
1. Neostigmine
2. Physostigmine
3. Methacholine
4. Atropine

Correct answer: 2. Physostigmine

Explanation: Signs of symptoms, treatment, and postmortem appearances in Atropa belladonna (deadly nightshade) and Hyoscyamus niger are same as datura.
Specific antidote is physostigmine.